Primary amenorrhoea in seen in all except -
1. Kallman syndrome
2. Turner syndrome
3. MRKHS syndrome
4. Sheehan syndrome

Correct answer: 4. Sheehan syndrome

Explanation: Ans. is 'd' i.e., Sheehan syndrome Secondary sexual characteristics normalo Imperforate hymeno Transverse vaginal septumo Absent vagina and functioning uteruso Absent vagina and non-functioning uteruso XY female - androgen insensitivityo Resistant ovary syndromeo Constitutional delaySecondary sexual characteristics absentNormal statureo Hypogonadotrophichvpogonadismy Congenitalo Isolated gonadotrophin-releasing hormone deficiencyo Olfactogenital syndrome y Acquiredo Weight loss/anorexiao Excessive exerciseo Hyperprolactinaemiao Hypergonadotrophichypogonadismy Gonadal agenesiso Chromosomal aberrations resulting from XX-agenesisy Gonadal dysgenesiso Turner's mosaico Other X deletions or mosaicso XY enzymatic failureo Ovarian failureo GalactosaemiaShort statureo Hypogonadotrophichypogonadisrny Congenitalo Hydrocephalusy Acquiredo Traumao Empty sella syndromeTumourso Hypergonadotrophichypogonadismy Turner's syndromey Other X deletions or mosaicsHeterosexual developmento Congenital adrenal hyperplasiao Androgen-secreting tumouro 5a-reduciase deficiencyo Partial androgen receptor deficiencyo True hermaphroditeo Absent mullerian inhibitor